Emergency contraceptive drugs are:
1. Levo-norgestrel
2. Estrogen + progesterone
3. Mifepristone
4. All of the above

Correct answer: 4. All of the above

Explanation: Postcoital (emergency) contraception : 1. Levonorgestrel 0.5 mg + ethinylestradiol 0.1mg taken as early as possible but within 72 hours of unprotected intercourse and repeated after 1 2 hours. Progesterone and estrogen combination can also be used in emergency contraception. 2. levonorgestrel 3. ulipristal 4. mifepristone (REF.Essentials of Pharmacology TD TRIPATHI 6th EDITION page no 310)